Hemodialysis is used in poisoning with all except-
1. Salicylates
2. Methyl alcohol
3. Diazepam
4. Barbiturates

Correct answer: 3. Diazepam

Explanation: Hemodialysis is not useful in benzodiazepine (e.g. diazepam) poisoning.